which one is the trace element?
1. Copper
2. sodium
3. calcium
4. Fats

Correct answer: 1. Copper

Explanation: i) Microminerals (Trace elements)- less than 100mg/day a) Copper b) Iodine c) Iron d) Mangnese e) Selenium f) Zinc